Female Pseudo hermaphroditism is caused by all except
1. Hilus cell tumor
2. Theca cell tumor
3. Congenital adrenal hyperplasia
4. Leydig cell tumor

Correct answer: 2. Theca cell tumor

Explanation: Female pseudo hermaphroditism is caused by androgen secreting tumors, maternal ingestion of androgenic drugs and congenital adrenal hyperplasia in fetus.
Theca cell tumor is oestrogen secreting tumor.